Artery forming anastomosis around surgical neck humerus
1. 1st part of axillary artery
2. 2nd part of axillary artery
3. 3rd part of axillary artery
4. Subclavian artery

Correct answer: 3. 3rd part of axillary artery

Explanation: Anterior Circumflex humeral artery and posterior Circumflex humeral artery are branches from 3rd part of axillary artery . These two anastomose around the surgical neck of humerus . Posterior Circumflex humeral artery runs along with axillary nerve and passes through the quadrangular intermuscular space . B D Chaurasia 7th edition Page no : 53